Which of the following stapler is used for MIPH?
1. Linear cutting stapler
2. Circular cutting stapler
3. Linear stapler
4. Circular stapler

Correct answer: 2. Circular cutting stapler

Explanation: Ans. (b) Circular stapler cuttingRef: Sabiston's Textbook of surgery, 20th edition, Pages 1402-03* Longo procedure is the stapled hemorrhoidopexy procedure.* The other name is minimally invasive procedure for hemorrhoids (MIPH).* Circular stapler is used in this procedure